Genital elephantiasis is caused by-
1. Herpes genitalis
2. LGV
3. Gonorrhea
4. Syphilis

Correct answer: 2. LGV

Explanation: Ans. is 'b' i.e., LGV o LGV is caused by chlamydia trachomatis, serotypes L1, L2, L3. Serotype L2 is the most common cause. The clinical course of LGV consist of following three stages:-1) First stage (Primary LGV):- Self limited, Single, asymptomatic, painless, nonbleeding genital ulcer.2) Secondary stage:- Painful inguinal lymphadenopathy (Remember - Ulcer is pain less but lymphodenopathy is tender & painful). Swollen lymph nodes coalesce to form bubos, i.e., matted lymph nodes. Buboes may rupture to form discharging sinus. Groove's sign - Enlarge lymph nodes both above and below inguinal ligament.3) Tertiary LGV (genitorectal syndrome):- Characterized by proctocolitis.o Complications of LGV1) Esthiomene -Enlargement, thickening and fibrosis of labia.2) Elephantiasis of the genitals3) Rectal stricture4) Systemic - Arthritis, pneumonitis, Perihepatitiso Frei's test was used for diagnosis (not used now)o Treatment - Doxycycline/tetracycline is DOC. Erythromycin is an alternative.